Features not seen in Cushing's Syndrome is-
1. Hypoglycemia
2. Hypertension
3. Frank psychosis
4. Hypokalemia

Correct answer: 1. Hypoglycemia